Which carpal is prone for avascular necrosis?
1. Tallus
2. Scaphoid
3. Pisiform
4. Navicular

Correct answer: 2. Scaphoid

Explanation: ANSWER: (B) ScaphoidREF: Apley's 9th ed page 23Certain regions are notorious for their propensity to develop ischaemia and bone necrosis after injury. They are:The head of the femur (after fracture of the femoral neck or dislocation of the hip)The proximal part of the scaphoid (after fracture through its waist)The lunate (following dislocation)The body of the talus (after fracture of its neck)